Intraepidermal bulla is seen in –
1. Pemphigoid
2. Pemphigus
3. Dermatitis herpetiformis
4. Light reaction

Correct answer: 2. Pemphigus